Sodium valproate is an:
1. Antiepileptic drug
2. Antihypertensive drug
3. Antituberculours drug
4. Antipsychotic drug

Correct answer: 1. Antiepileptic drug